Normal portal venous pressure is
1. 5-10 mmHg
2. 10-15 mmHg
3. 15-20 mmHg
4. 20-35 mmHg

Correct answer: 1. 5-10 mmHg

Explanation: Portal venous pressure is normally about 10 mm Hg in humans, and hepatic venous pressure is approximately 5 mm Hg.Ref: Ganong's Review of medical physiology 25th edition. Page: 509